Four years old child presents with mild fever, malaise, arthritis, abdominal pain and microscopic hematuria. Most probable diagnosis
1. Thrombasthenia
2. Idiopathic thrombocytopenic purpura
3. SLE
4. Henoch-Schonlein purpura

Correct answer: 4. Henoch-Schonlein purpura

Explanation: Henoch-Schonlein Purpura (HSP) : Henoch-Schonlein purpura (HSP) is a disease involving Although HSP can affect people at any age, most cases occur in children between the ages of 2 and 11. It is more common in boys than girls. Adults with HSP are more likely to have more severe disease compared to children. HSP usually ends after four to six weeks -- sometimes with recurrence of symptoms over this period, but with no long-term consequences (recurrences are fairly common). If organs such as the Causes and Risk Factors for Henoch-Schonlein Purpura The exact cause of HSP is not known. The body's immune system is believed to play a role in targeting the blood vessels involved. An abnormal immune response to an infection may be a factor in many cases. Approximately two-thirds of the cases of HSP occur days after symptoms of an upper respiratory tract infection develop. Some cases of HSP have been linked to , ; foods, drugs, chemicals, and , and/or related disease, including blood in urine. Before these symptoms begin, patients may have two to three weeks of fever, Reference: GHAI Essential pediatrics, 8th edition